Which of the following drugs should be given in sustained release oral dosage form ?
1. An anti–arrhythmic drug with a plasma half life of 10 seconds used for acute treatment of PSVT
2. An anti–inflammatory drug with a plasma half life of 24 hr
3. A hypnotic drug with a plasma half life of 2 hours
4. An antihypertensive with a plasma half life of 3 hours

Correct answer: 4. An antihypertensive with a plasma half life of 3 hours